Maintenance IV fluids per day for child weighing 10 kg: (Repeat)
1. 400 ml
2. 500 ml
3. 800 ml
4. 1000 ml

Correct answer: 4. 1000 ml

Explanation: Ans: D (1000 ml/day) Ref: Nelson's Textbook of Pediatrics. 19th Edition. Explanation:The Holliday-Segar Method:In the Holliday-Segar Method, fluid and electrolyte requirements are empirically based on the caloric needs of the average hospital patient.Table 18: Radiological appearance of Different sinusesMaxillaryStatus at birthGrowthFirst radiological evidence PresentRapri growth from birth to 3 years and 7-12 years. Reaches adult size by 15 years4-5 months after birthEthmoidPresentReaches adult size by 12 years1 yearFrontalAbsentInvades frontal bone by age of 4 years and increases fill teens6 yearsSphenoidAbsentReaches sella turcca by age of 7 years, dorsum sellae by late teens and basisphenoid by adult age and reaches full size between 15 years to adult age.4 years* The same formula is used for calculating calorie requirement as well as fluid requirementRelation of Body Weight to Maintenance fluidsFor each kilogram in this rangeDaily fluid requirement per kilogramFirst 1-10 kg100 ml/kg/dayNext 11-20 kg50 ml/kg/dayFor >20 kg20 ml/kg/dayFor 10 kg child, Maintanence fluid for 24 hours = 10 x 100 = 1000 mi/dayFor 15 kg child, Maintanence fluid for 24 hours = 10 x 100 + 5x 50 = 1250 ml/dayFor 25 kg child. Maintanence fluid for 24 hours = 10 x 100 + lOx 50 + 5x 20 = 1600 ml/day